Incidence is calculated by-
1. Retrospective study
2. Prospective study
3. Cross sectional study
4. Random study

Correct answer: 2. Prospective study

Explanation: Ans. is 'b' i.e., Prospective study o Incidence rate is measured by cohort study, also known as prospective study.Epidemiological studyParameter obtainedo Case control studyOdds ratioo Cohort studyIncidence rateRelative riskAttributable riskPopulation attributable risko Cross - sectional studyPrevalenceo Ecological studyGroup characteristics